In modern day obstetrics, most common cause of rupture uterus is -
1. Prolonged labour
2. Previous LSCS scar rupture
3. Forceps delivery
4. Internal podalic version

Correct answer: 2. Previous LSCS scar rupture

Explanation: Ans. is 'b' i.e., Previous LSCS scar rupture * Disruption in the continuity of all uterine layers: endometrium, myometrium and serosa anytime beyond 28 weeks of pregnancy is called rupture of uterus.Incidence* 1 in 2000 to 1 in 200 deliveries. Rupture uterus from obstructed labor is becoming less because of improved obstetric care, but prevalence of scar rupture is increased because of increase in LSCS rates.Etiology* Rupture of previous LSCS scar during VBAC is one of the commonest cause of rupture uterus today.* Spontaneous (intact or unscarred uterus)* Scar rupture* Iatrogenic.* LSCS scar generally ruptures in labor (mainly in second stage or towards end of first stage) and unlikely to rupture during pregnancy.* Iatrogenic rupture is mainly due to injudicious use of oxytocin or prostaglandins (for induction or augmentation of labor) and very very rarely due to Internal Podalic Version and destructive operations as they are not performed in modern day obstetrics.